True regarding transport across a cell membrane is :
1. Cl- with glucose symport
2. Na+ with glucose anteprot
3. Na+ with glucose symport
4. K+ with glucose symport

Correct answer: 3. Na+ with glucose symport

Explanation: C i.e. Na+ with glucose symport In this along with Na+, another substance is carried by the carrier protein called symport. The energy is obtained from diffusion process of Na+ due to concentration gradient across the cell membrane.